Germ tubes are formed mainly by:
1. Candida albicans
2. Candida stellatoidea
3. Candida tropicalis
4. Candida pseudotropicalis

Correct answer: 1. Candida albicans